Micro-Wick and Microcatheter is used in administering sustained release preparation in
1. Epistaxis treatment
2. Delivery of antibiotics to round window
3. Freys Syndrome
4. Drooling of saliva

Correct answer: 2. Delivery of antibiotics to round window

Explanation: There are many techniques and drugs used to treat disorders of the inner ear. The three most common techniques in use today are: a. TRANSTYMPANIC INJECTION - using a syringe and a small gauge needle. b. ROUND WINDOW MICROCATHETER - A small catheter surgically implanted under the eardrum which delivers medicine to a small window to the inner ear. c. SILVERSTEIN MICROWICK - A small tube with a "wick" through the tube to the round window, allowing the patient to self-medicate. Ref : ENT textbook by Dhingra 6th edition Pgno : 104